Impression material which has a high incidence of air porosity is
1. Alginate impression material
2. Impression compound
3. Zinc oxide eugenol impression paste
4. Polyether impression material

Correct answer: 1. Alginate impression material